What changes in GFR is expected in a 30-year-old lady with pre-eclampsia?
1. Decreases
2. Increases
3. Remains the same
4. None of these

Correct answer: 1. Decreases

Explanation: Pre-eclampsia is a state of hypertension in pregnancy associated with proteinuria but with or without pathological edema. It is defined as a multi-system disorder of unknown etiology characterised by development of hypertension to the extent of 140/90 mm Hg or more with protienuria after the 20th week of pregnancy in a previously normotensive and a normoproteinuric patient. The typical pathological features are endothelial dysfunction and intense vasospasm. In pre-eclampsia, the glomerular filtration rate decreases. The decrease in glomerular filtration rate is as a result of the following physiological changes: Afferent glomerular arteriolar vasospasm Occlusion of the lumen of the glomerulus resulting from glomerular endotheliosis and fibrin deposits in the basement membrane Decreased renal blood flow Ref: Textbook of Obstetrics By D.C. Dutta, 6th Edition, Pages 221-3131